Which of the following is an obligate parasite-
1. Mycoplasma
2. Chlamydia trachomatis
3. Gram -ve bacilli
4. Gram +ve cocci

Correct answer: 2. Chlamydia trachomatis